How many muscle fibers are there in one motor unit in eye?
1. 15
2. 30
3. 5
4. 50

Correct answer: 3. 5

Explanation: No of muscle fibers ina motor unit are usually less than 10 Motor unit is the no of muscle fibers innervated by single neuron Ref:Guyton and Hall textbook of medical physiology 12th edition,page number:85,86,87